Which of the following anesthetic agent lacks analgesic effect:
1. N20
2. Thiopentone
3. Ketamine
4. Fentanyl

Correct answer: 2. Thiopentone

Explanation: Ans. B i.e. Thiopentone Thiopentone Ultra short acting barbiturate (because of rapid redistribution), Lacks analgesic effect, First sign on intra-arterial injection: - White hands I/V injection presents as: - Pain, - Hypotension etc. C/I in: Porphyria (may precipitate porphyria)